DOC for treatment of SSPE:
1. Abacavir
2. Isoprinosine
3. Glatiramer
4. Interferon

Correct answer: 2. Isoprinosine

Explanation: Isoprinosine is used as an immune-modulator for the management of patients with: Immune-depression suffering from viral infections such as SSPE, varicella, herpes simplex Type 1 & 2. In the management of recurrent herpes simplex Type 1 & 2. As an adjunct in the treatment of genital was.